Earliest event in ischemic cardiac myocytes is:
1. Microvascular injury
2. Irreversible cell injury
3. Loss of contractility
4. ATP reduction to 50% normal.

Correct answer: 3. Loss of contractility

Explanation: Loss of contractility Features Time Onset of A TP depletion Seconds Loss of contractility <2 min A TP reduced to 50% of normal to 10% of normal 10 min 40 min Irreversible cell injury 20-40 min Microvascular injury > 1 hour